In a 5 year old child, most common cause of unilateral epistaxis is -
1. Foreign body
2. Polyp
3. Atrophic rhinitis
4. Maggots

Correct answer: 1. Foreign body

Explanation: Most common cause of unilateral epistaxis in children is Foreign body.
In case of Foreign Body of Nose “The child presents with unilateral nasal discharge which is often foul smelling and occasionally blood-stained.”